Shortest acting corticosteroid rthe following is?
1. Dexamethasone
2. Hydrocortisone
3. Triamcinolone
4. Deflazacort

Correct answer: 2. Hydrocortisone

Explanation: Short acting steroids - Cortisone Hydrocortisone Intermediate acting - Prednisone Prednisolone Triamcinolone Long acting - Dexamethasone Betamethasone Paramethasone